A 20-years old nulliparous women is on oral contraceptives pills. She is currently diagnosed as having pulmonary tuberculosis. Which anti-tubercular drug decreases the effect of OCP:
1. INH
2. Pyrazinamide
3. Ethambutol
4. Rifampicin

Correct answer: 4. Rifampicin